Muscle acting for protrusion of tongue is -
1. Palatoglossus
2. Genioglossus
3. Styloglossus
4. Hyoglossus

Correct answer: 2. Genioglossus

Explanation: Ans. is 'b' i.e., Genioglossus MusclesActionExtrinsic * PalatoglossusElevates tongue, narrows oropharyngeal isthmus.* StyloglossusRetract and elevate the tongue.* HyoglossusDepress the tongue, and retract the protruded tongue.* GenioglossusProtrude the tongue and deviates it to opposite side.Prevents backward fall of tongue towards oropharynx. It is called safety muscle of tongue (or life-saving muscle).Intrinsic * Superior longitudinalShortens the tongue makes dorsum concave.* Inferior longitudinalShortens the tongue makes dorsum convex.* TransverseMakes tongue narrow and elongated.* VerticalMakes tongue broad and flattened.